The relationship between the pulpal and periodontal tissue complex begins during dental development at
1. Adolescent stage
2. 5-10 years
3. Embryonic stage
4. None of the above

Correct answer: 3. Embryonic stage